Which of the following is not true about idiopathic pulmonary Hemosiderosis -
1. Iron deficiency Anemia
2. Eosinopenia
3. ↑ Bilirubin
4. ↑ Reticulocyte count

Correct answer: 2. Eosinopenia